Which of the following is a broad spectrum antibiotic?
1. Erythromycin
2. Streptomycin
3. Tetracycline
4. All

Correct answer: 3. Tetracycline

Explanation: Spectrum of activity: Narrow-spectrum Penicillin G,Streptomycin,Erythromycin Broad-spectrum Tetracyclines,Chloramphenicol ESSENTIALS OF MEDICAL PHARMACOLOGY K.D.TRIPATHI SIXTH EDITION PAGE NO:669